Detection rate of down syndrome with first trimester screening with NT, PAPP-A and hCG is
1. 64-70%
2. 80-84%
3. 94-96%
4. 99%

Correct answer: 2. 80-84%

Explanation: Selected Down Syndrome Screening Strategies and Their Detection RateScreening testDetection rateQuadruple screen 80-82%First trimester screenNT alone64-70%NT, hCG, PAPP-A80-84%Integrated screening94-96%Sequential screeningStepwise92%Contingent91%Cell-free DNA91%(Ref: William's Obstetrics; 25th edition)